Which of the antithyroid drug inhibit iodine trapping?
1. Radioactive iodine
2. Iodides
3. Methimozole
4. Thiocyanades

Correct answer: 4. Thiocyanades

Explanation: Ans. is 'd' i.e., Thiocyanades